Installation and usage of Sanitary latrines by General public constitutes which level of prevention
1. Health promotion
2. Specific protection
3. Early diagnosis and treatment
4. Disability limitation and rehabilitation

Correct answer: 1. Health promotion

Explanation: Ans. (a) Health promotion* Environmental modifications, viz., Safe water provision, Installation of Sanitary latrines, Improvement of housing conditions, Rodent/ insect control constitute Health promotion